The nematode which resides in the caecum & appendix is?
1. Ascaris lumbricoides
2. Mansonella ozzardi
3. Enterobius vermicularis
4. All of these

Correct answer: 3. Enterobius vermicularis

Explanation: Enterobius vermicularis REF: Jawetz, Melnick, & Adelberg's Medical Microbiology, 24T" edition chapter 46 Table 46-4 See APPENDIX-74 for "DISEASES DUE TO HELMINTHS" Nematodes which live in Cecum-appendix: Trichuris trichura (whipworm) Enterobius vermicularis (pinworm)